Which of the following is viviparous?
1. Strongyloidis stercoralis
2. Trichinella spiralis
3. Enterobius
4. Ascaris

Correct answer: 2. Trichinella spiralis

Explanation: 1. Viviparous: Worms that lay Larva directly, without egg formation, e.g. Filarial worms, Trichinella and Dracunculus. 2. Oviparous: Lay eggs which hatch out to larva later in the environment- Ascaris, Hookworm, Trichuris and Enterobius 3. Ovoviviparous: Lay eggs containing larva which immediately hatchout, e.g. Strongyloides.